Which of the following is true about Aggressive periodontitis
1. Slow progression, rapid episodes possible
2. Familial aggregation is typical feature.
3. Local factors often commensurate with observed periodontal destruction
4. Often found in older patients but can be found in all age groups.

Correct answer: 2. Familial aggregation is typical feature.

Explanation: Classification and Clinical Characteristics
Features
The 1999 international classification workshop defined the entity of aggressive periodontitis to be characterized by three primary features (Table):
TABLE  
Diagnostic Criteria to Distinguish Chronic and Aggressive Periodontitis